Right common carotid artery arises from:
1. Right axillary artery
2. Arch of aorta
3. Brachiocephalic artery
4. Left subclavian artery

Correct answer: 3. Brachiocephalic artery

Explanation: The arch of the aorta is a continuation of the ascending aorta.It lies behind the manubrium sterni and arches upward, backward, and to the left in front of the trachea (its main direction is backward).It then passes downward to the left of the trachea and, at the level of the sternal angle, becomes continuous with the descending aorta.BranchesThe brachiocephalic artery divides into the right subclavian and right common carotid arteries behind the right sternoclavicular joint.The left common carotid artery runs upward and to the left of the trachea and enters the neck behind the left sternoclavicular joint.The left subclavian artery runs upward along the left side of the trachea and the esophagus to enter the root of the neck. It arches over the apex of the left lung.